Anaesthetic agent with vasoconstrictor is contraindicated in?
1. Digital block
2. Spinal block
3. Epidural block
4. Regional anaesthesia

Correct answer: 1. Digital block

Explanation: Ans. (A) Digital block(Ref: Katzung 11th/e p446)Vasoconstrictors are contraindicated if LAs are used for organs with end arteries (tips of fingers, toes, nose, pinna and penis) due to risk of ischemia and necrosis.